The most common complication of varicose vein stripping is:
1. Infection
2. Hemorrhage
3. Ecchymosis
4. Thromboembolism

Correct answer: 3. Ecchymosis

Explanation: Complications of varicose vein surgery Recurrence (MC): Incidence of recurrence after surgery in upto 10%. Hematoma or Ecchymosis: MC cause of discomfort after varicose vein surgery Sensory nerve injury Greater saphenous vein should only be stripped to just below the knee to avoid damage to the accompanying saphenous nerve Sural nerve must be carefully dissected off the lesser saphenous vein at the ankle.